Commonest cause of death in breech delivery is/ are :
1. Intracranial hemorrhage
2. Atlantoaxial dislocation
3. Atlantoaxial fracture
4. Aspiration

Correct answer: 1. Intracranial hemorrhage

Explanation: Intracranial hemorrhage